EEG rhythm recorded from the surface of the scalp during REM sleep -
1. Alpha
2. Beta
3. Delta
4. Theta

Correct answer: 2. Beta

Explanation: B i.e. Beta